Calorie test based on thermal stimulation stimulates which part of the semi circular canals?
1. Posterior
2. Anterior
3. Lateral
4. All of the above

Correct answer: 3. Lateral

Explanation: Fitzgeraled Hallpike Bethernalcaloric test: the lateral semicircular canal (SCC) is stimulated (tested) (horizontal) by irrigating cold (30degC) and warm water (44degC) in the external auditoy canal.